The end product of glycolysis under anaerobic conditions is:
1. Lactic acid
2. Pyruvic acid
3. Acetoacetic acid
4. Oxaloacetic acid

Correct answer: 1. Lactic acid